Testes completely descend in the scrotum by the aha of
1. Ends of 7th month of intrauterine life
2. End of 8th months of intrauterine life
3. End of 9th months of intrauterine life
4. After birth

Correct answer: 3. End of 9th months of intrauterine life

Explanation: Testis lies at superficial ring at 8th month and enters the scrotum at the beginning of 9th month. It reaches the final position in the scrotum just before birth.